Content ofAschoff's nodules are A/E -
1. Histiocytes
2. Langhan's giant cell
3. Fibrinoid deposition
4. Aschoff's cells

Correct answer: 2. Langhan's giant cell

Explanation: Ans. is 'b' i.e., Langhans giant cell